Which of the following cranial nerve is a pure sensory nerve?
1. CN 3
2. CN 5
3. CN 8
4. CN 9

Correct answer: 3. CN 8

Explanation: Ans. C CN 8Ref: Netter's Atlas of Neurosciences, pg. 265* Cranial nerve 3 is pure motor nerve and performs ocular movement.* Cranial nerve 5 performs mastication and is sensory to face.* Cranial nerve 9 is a mixed nerve and carries taste from posterior 1/3rd of tongue and performs swallowing with help of stylopharyngeus.* CN 8th is pure sensory. Associated with hearing and balancing